Second class magistrate can punish with imprisonment of -
1. 1 year
2. 3 year
3. 5 year
4. 7 year

Correct answer: 1. 1 year